Red man syndrome is caused by:
1. Telithromycin
2. Telavancin
3. Vancomycin
4. Rifampin

Correct answer: 3. Vancomycin

Explanation: It causes anaphylactoid reaction - red man syndrome Ref: Harrison, Edition-18, Page : 1146.